Sacrococcygeal teratoma is a derivative of
1. Primitive streak
2. Hypoblast
3. Ectoderm
4. Cranial neuropore

Correct answer: 1. Primitive streak

Explanation: Sacrococcygeal teratoma: - Sometimes remnants of the primitive streak persist in the sacrococcygeal region. Then cluster of pluripotent cells proliferate & form tumor, known as sacrococcygeal teratomas Which commonly contain tissues derived from all three germ layers. Occurrence 1: 37,000 Most common tumor in a new born. Teratomas may also arise from abberent migration of primordial germ cells.